Anagen phase of the hair indicates-
1. The phase of activity and growth
2. The phase of transition
3. The phase of resting
4. The phase of degeneration

Correct answer: 1. The phase of activity and growth

Explanation: Anagen phase- active growth phase-70-80% of hairs will be in anagen phase.last for 2-10years Catagen phase- regression phase- lasts for 1-3 weeks Telogen phase- resting phase- lasts for 3months Reference Harrison20th edition pg 1230